Churg-Strauss syndrome is characterized by all Except
1. Allergic rhinitis
2. Large-vessel vasculitis
3. Eosinophilic vasculitis
4. Treated with Steroids and immunosuppression

Correct answer: 2. Large-vessel vasculitis

Explanation: EOSINOPHILIC GRANULOMATOSIS WITH POLYANGIITIS (EGPA)Previously known as allergic angiitis granulomatosis or Churg-Strauss syndrome, this complex syndrome is characterized by eosinophilic vasculitis that may involve multiple organ systems including the lungs, heart, skin, GI tract, and nervous system.The primary features of EGPA include asthma, peripheral eosinophilia, neuropathy, pulmonary infiltrates, paranasal sinus abnormality, and presence of eosinophilic vasculitis.Corticosteroids dramatically alter the course of EGPA. Other therapies that have been used successfully in the management of EGPA include azathioprine, methotrexate, intravenous gamma globulin, and interferon a. Plasma exchange has not been shown to provide any additionalbenefit. Recent studies examining the efficacy of anti-IL-5 therapy have shown promiseRef: Harrison's Principles of Internal Medicine; 19th edition;